Bronchopulmonary dysplasia seen in all except –
1. Theophylline
2. Prematurity
3. Barotrauma
4. O2 therapy

Correct answer: 1. Theophylline